Tumor marker CA 15-3 is associated with ?
1. Ovary
2. Breast
3. Prostate
4. Kidney

Correct answer: 2. Breast

Explanation: Harshmohan textbook of pathology 7th edition tumor marker CA 15-3 is associated with breast cancer. ovary - CA 125 prostate- PSA..